A child was taken for CECT Chest and contrast was injected :  the child had swelling which gradually increased. There is numbness. There is a pain on passive extension of fingers. He is not allowing you to touch the arm. Pulse was present. What will you do?
1. High Dose Prednisolone
2. Arterial Thrombectomy
3. Immediate Fasciotomy
4. Antihistamines / Anticoagulants

Correct answer: 3. Immediate Fasciotomy

Explanation: The child is having Compartment syndrome due to extravasation of contrast. This is a medical emergency and immedicate fasciotomy needs to be done to prevent tissue necrosis.